Lacunar infarcts manifests as -
1. Pure sensory weakness
2. Pure motor weakness
3. Dysarthria
4. All of the above

Correct answer: 4. All of the above